Narrow therapeutic index is seen in-
1. Lithium
2. Lincosamide
3. Lamotrigine
4. Levatiracetam

Correct answer: 1. Lithium

Explanation: Ans. is 'a' i.e., Lithium Drugs with low therapeutic index (High alert drugs)* Amphotericin B* Disopyramide* Lignocaine* Phenytoin* Aminoglycosides* Dimercapral* Lithium* Quinidine* Carbamezapine* Guanethidine* Metaproterenal* Tricyclic antidepressants* Cyclosporine* Isoetharine* Minoxidil* Theophylline* Clindamycin* Isoproterenol* Primidone* Warfarin* Clonidine* Levothyroxine* Procainamide* Valproate* Digoxin